Which of the following induction agent produce cardiac stability?
1. Ketamine
2. Etomidate
3. Propofol
4. Midazolam

Correct answer: 2. Etomidate

Explanation: Etomidate produces less cardiovascular and respiratory depression. Ketamine increases heart rate,cardiac output and BP. Propofol causes vasodilatation and hence decreases peripheral vascular resistance and so fall in BP. Midazolam causes fall in BP. Hence cardiac stability is more by Etomidate. From padmaja 4th edition Page no 194,195,196